Number of ASHA visits after home delivery is:
1. 4
2. 5
3. 6
4. 7

Correct answer: 4. 7

Explanation: ASHA: Acredited Social Health Activist - 25-45 yr old female worker, Works at village level - Should be resident of same village - Bridge b/w Village & ANM; Selected by village panchayat - Training is given by ANM & AWW - Impact indicators: Reduction of IMR TB cases detected Leprosy cases detected PEM rates - Number of ASHA visits: 6 visits in Institutional deliveries: On Day 3,7,14, 21,28,42 post-delivery 7 visits in Home based deliveries: On Day 1,3,7,14,21,28,42 post-delivery 5 visits in births through LSCS (no visit on day 1 & 3).